Moral treatment of mentally ill-patient was first stressed by:
1. Pinel
2. Morel
3. Kraepelin
4. Sigmund freud

Correct answer: 1. Pinel

Explanation: Moral treatment of mentally ill patients using humane methods was first stressed by Pinel. Person Significance 1. Philippe Pinel The Moral Treatment of Insanity 2. Benedict Morel Coined the term 'Demence precoce". 3. Emil Kraepelin Divided major psychoses into 'Dementia praecox' and 'Manic-Depressive Psychosis' 4. Sigmund Freud founded psychoanalysis wrote the book'The Interpretation of Dreams'